Leginonnaire disease cause?
1. Respiratory disease
2. U.T.I
3. Retroperitoneal fibrosis
4. Acute gastroenteritis

Correct answer: 1. Respiratory disease

Explanation: Legionellosis ( Atypical pneumonia) Fever, muscle pain, headache Bacterium found in AC fresh water Spread by breathing Diagnosis By urinary Antigen test & Sputum culture Treatment - Fluroquinolones, Azithromycin or doxycycline Culture for legionella - BCYE (Buffered charchol yeast Extract with Fe & Cysteine)